Crus commune is a part of:
1. Cochlea
2. Middle ear
3. Semicircular canal
4. Vestibule

Correct answer: 3. Semicircular canal

Explanation: (c) Semicircular canal(Ref Shambaugh, 6th ed., page 42)The posterior and superior semicircular canals fuse together to form a common crus called as "crus commune" which opens into the utricle. Because of this the three semicircular canals open into utricle by five openings instead of six.